Role of atropine in iridocyclitis includes all of the following except:
1. It dilates the pupil, prevents the formation of synechiae and may break the already formed synechiae
2. Gives comfort and rest to the eye by relieving ciliary muscle spasm
3. It reduces exudation by decreasing hyperaemia
4. It lowers the intraocular pressure increasing aqueous outflow facility

Correct answer: 4. It lowers the intraocular pressure increasing aqueous outflow facility

Explanation: Ans. It lowers the intraocular pressure increasing aqueous outflow facility